Which of the following indicates activity of anterior uveitis?
1. Cells in anterior chamber
2. Circumcorneal congestion
3. Keratic precipitate
4. Corneal edema

Correct answer: 1. Cells in anterior chamber

Explanation: Ans. is 'a' i.e., Cells in anterior chamber Activity of acute anterior uveitis is indicated by presence of cells (aquous cells) and flare in anterior chamber-Grading is done on these two. Grade Aquous cells Grade Aquous flare 0 cells 0 no flare +_ 1-5 cells +1 Just detectable +1 6-10 cells +2 Moderate flare +2 11-20 cells +3 Marked flare +3 21-50 cells +4 Intense flare +4 > 50 cells